Facial nerve lies with which nerve in internal auditory meatus -
1. Trigeminal nerve
2. Abducent nerve
3. Vestibulocochlear nerve
4. Hypoglossal nerve

Correct answer: 3. Vestibulocochlear nerve

Explanation: Ans. is 'c' i.e., Vestibulocochlear nerve FORAMENSTRUCTURES PASSINGInternal accoustic meatusFacial N.Auditory N.Nervus intermedius(wrisberg) Labyrynthine vessels